Most pathognomic in pelvic abscess is -
1. Constipation
2. Mucopurulent discharge
3. Loose stool
4. Bleeding

Correct answer: 2. Mucopurulent discharge